Amino acid responsible for buffering action of Hemoglobin
1. Histidine
2. Arginine
3. Valine
4. Lysine

Correct answer: 1. Histidine

Explanation: The second buffer system is provided by the dissociation of the imidazole groups of the histidine residues in hemoglobin.Ref: Ganong's Review of medical physiology 25th edition. Page: 644